The following medications has been reported to cause canalicular stenosis except
1. 5-flourouracil
2. Docetaxel
3. Epinephrine
4. Atropine

Correct answer: 4. Atropine

Explanation: Atropine is an anticholinergic drugs does not cause canalicular stenosis.